Gold standard treatment in a patient intractable aspiration with incompetent larynx due to complete laryngeal paralysis is:
1. Type I Thyroplasty
2. Tracheostomy
3. Feeding jejunostomy
4. Tracheal division & Permanent Tracheostoma

Correct answer: 4. Tracheal division & Permanent Tracheostoma

Explanation: TREATMENT OF COMPLETE LARYNGEAL PALSY: Tracheostomy Gastrostomy Epiglottopexy Vocal cord plication Total laryngectomy Diversion procedures-Laryngotracheal separation, Laryngeal closure& permanent tracheostome Bilateral medialization i.e. Type I thyroplasty for aspiration requires adduction of the entirevocal cord. The technique works in carefully selectedcases of mild aspiration as it does not prevent all aspiration and risks patients requiring a tracheostomy,